All are true about cystic fibrosis except?
1. Recurrent respiratory infections
2. Majority of males are infertile
3. Fasting hyperglycemia is a feature of early disease
4. Sweat chloride is >70 meq/1

Correct answer: 3. Fasting hyperglycemia is a feature of early disease

Explanation: Ans. (c) Fasting hyperglycemia is a feature of early disease(Ref: Refer Ans 7 & 10; Nelson 19th/pg 1996; Robbins 9th/pg 466-470; 8th/pg 465-470)Cystic fibrosis-related diabetes (CFRD)No diabetes is seen in CF patients younger than 10 yr while 40-50% show diabetes at >=20yr age;So diabetes is a late feature of CF, seen only in individuals who survive to adolescence & beyond.Patients with CFRD have features of both T1DM and T2DM.There is pancreatic damage leading to slowly progressive insulin deficiency, along with insulin resistance